The tip diameter of a 245 bur used for conventional amalgam preparation is
1. 2 mm
2. 0.8 mm
3. 0.3 mm
4. 0.4 mm

Correct answer: 2. 0.8 mm